Cu T with 10 years life is?
1. Cu 380 A
2. Progestasert
3. Cu T 200
4. Nova T

Correct answer: 1. Cu 380 A

Explanation: ANSWER: (A) Cu 380 AREF: Park 20th edition page 427The T-Cu-38GA has been approved for use for 10 yearT-Cu 200 - 4 yrsNova T - 5 yrsProgestsert - 1 yrs